All of the following are signs of Pulmonary Hypertension, except:
1. Right Parasternal Heave
2. Raised JVP
3. Palpable P2
4. Low Volume Pulse

Correct answer: 1. Right Parasternal Heave

Explanation: Answer is A (Right Parasternal Heave): Pulmonary Hypertension is associated with Right Ventricular Hypertrophy which presents as Left Parasternal Heave (Not Right Parasternal Heave). The Right Ventricle is situated just beneath the left 3rd ,4th, and 5th intercostal spaces close to the sternum and is palpable as a Left Parasternal Heave in cases of Pulmonary Hypertension.